Characteristic features of rabies include all except-
1. Can manifest as ascending paralysis
2. Hemotogenous spread to brain
3. Can be transmitted by bites other than dogs also
4. In invariably fatal

Correct answer: 2. Hemotogenous spread to brain